A–3 month old female infant weight 4 kg and is suffering from loose motions. In examination she is found to be suffering from some dehydration.The amount of ORS to be given to her in the first four hour will be –
1. 100 ml
2. 300 ml
3. 500 ml
4. 600 ml

Correct answer: 2. 300 ml

Explanation: Guidlines for treating patients with some dehydration (but not severe dehydration) treatment plan B

Basic is to give 75 ml/kg of ORS in the first 4 hours.